Wrong about dhatura seeds is ?
1. Kidney shaped
2. Odourless
3. Yellow brown
4. Convex smooth surface

Correct answer: 4. Convex smooth surface

Explanation: Ans. is 'd' i.e.,Convex smooth surface Features of Dhatura sees are :-Large & thickOdourlersKidney - shapedLaterally compressed and double edged at convex border (not smooth)Yellowisk brown Bitter